Mycophenolate mofetil is used in
1. Prevention of organ transplantation rejection
2. Tuberculosis
3. Leprosy
4. Methanol posisoning

Correct answer: 1. Prevention of organ transplantation rejection

Explanation: Mycophenolate mofetil is an immunosuppressant used to prevent rejection of allogeneic cardiac, hepatic, and renal transplants. It is administered orally or intravenously. indications It is used to prevent rejection of organ transplants and for prophylaxis of organ rejection in allogeneic cardiac transplants. Contraindications Known hypersensitivity to this drug or to mycophenolic acid prohibits its use.Ref: Ganong's review of medical physiology, 23rd edition Page no:75